The most common sequelae of tuberculous spondylitis in an adolescent is :
1. Fibrous ankylosis
2. Bony-ankylosis
3. Pathological dislocation
4. Chronic osteomyelitis

Correct answer: 2. Bony-ankylosis

Explanation: The usual outcome of healed tuberculosis in spine is the bony ankylosis and in peripheral joints like Hip and Knee Fibrous ankylosis is seen. Note: Ankylosis-Abnormal stiffening and immobility of a joint due to fusion either by fibrous tissues or by bone.